Spontaneous bleeding usually occurs when the platelet counts fall below
1. 20000/uL
2. 50000/uL
3. 100000/uL
4. 120000/uL

Correct answer: 1. 20000/uL

Explanation: Ans. (a) 20000/uL(Ref: Robbins 9th/pg 662; 8th/pg 692)In general, the risk of significant spontaneous hemorrhage increases gradually as the platelet count drops to <50x109/L and is high at counts <5x109/L. So among the options the best answer is 10,000/ul.